Collection of health information, its use and its transmission to other levels of the system by non-professional health workers is
1. Sentinel surveillance
2. Lay reporting
3. Census
4. Survey

Correct answer: 2. Lay reporting